The necrotic tissue and deposits of immune complexes, complement and plasma protein produce a smudy eosinophilic deposit is termed as
1. Coagulative necrosis
2. Fibrinoid necrosis
3. Caseous necrosis
4. Fatty necrosis

Correct answer: 2. Fibrinoid necrosis